Charcot's triad includes all the following except
1. Pain
2. Vomiting
3. Jaundice
4. Fever

Correct answer: 2. Vomiting

Explanation: Charcot's triad of jaundice, abdominal pain, and fever is present in about 70% of patients with ascending cholangitis and biliary sepsis. Reynold's pentad = Charcot's triad + shock and confusion. Courvoisier's law: In obstruction of the common bile duct due to a stone, distension of the gallbladder seldom occurs; the organ is usually already shriveled. In obstruction from other causes, distension of the gallbladder is common by comparison Ref: Bailey and Love's 27th edn. Pg 1125. Harrison's, 19th edn. Pg 1843.